What is the route of administration of avian influenza vaccine?
1. Intranasal
2. Intramuscular
3. Subcutaneous
4. Intradermal

Correct answer: 2. Intramuscular

Explanation: Ans. is 'b' i.e., Intramuscular Vaccine Avian Influenza:o On April 17, 2007, FDA licensed the first vaccine in the United States for the prevention of H5N1 influenza, commonly referred to as avian influenza or ''bird flu".o This inactivated influenza virus vaccine is for use in people 18 through 64 years of age who are at increased risk of exposure to the H5N1 influenza virus subtype contained in the vaccine.o This vaccine is derived from the A.,rVietnam/l203/2004 influenza virus.o It is administered as a two-dose regimen. One 90 microgram dose is given intramuscularly, in the upper arm, and a second 90 microgram dose is given in the same manner, 28 days later.